Triple surgery in glaucoma includes all of the following except -
1. Trabaculectomy
2. PCIOL implantation
3. Insertion of drainage device
4. Extra capsular cataract extraction

Correct answer: 3. Insertion of drainage device

Explanation: Answer- C. Insertion of drainage deviceTRABECULECTOMYECCEPCIOL INSERTION